Acantolytic cells in pemphigus is-
1. Cell with hyperchromatic nuclei and perinuclear halo
2. Cell with hypochromatic nuclei and perinuclear halo
3. Multinucleated cells
4. None of the above

Correct answer: 1. Cell with hyperchromatic nuclei and perinuclear halo

Explanation: A. i.e. Cells with hyper chromatic nuclei & perinuclear haloAcantholysis is seen in epidermis as loss of cohesion between epidermal cells d/t lysis of intercellular substance (intercellular adhesion sitesQ). Acantholytic cells are rounded keratinocytes with hyperchromatic nuclei & perinuclear haloQ. Acantholysis is seen in pemphigus, Darier's disease, Grover's disease and Hailey-Hailey disease (but not in pemphigoid) Q.Primary acantholysis (i.e. acantholysis is primary pathological change) is seen in pemphigus variants (vulgaris, vegetans, paraneoplastic, foliaceous, erythematosus), Hailey-Hailey disease (familial benign chronic pemphigus), Darrier's disease (Keratosis follicularis), Grover's disease (transient acantholytic dermatosis), persistent acantholytic dermatosis, way dyskeratoma, and eosinophilic spongiosis. Acantholysis (i.e. loss of cohesion b/w keratinocytes d/t breakdown of intercellular bridges) result in formation of intraepidermal clefts, vesicles & bullae.Secondary acantholysis (i.e. secondary to some other pathological change like damage in epidermal cells) occurs in bullous impetigo, SSSS, viral disorders, solar keratosis & squamous cell carcinoma.